Most ionizing radiation among the following is?
1. X rays
2. Gamma rays
3. Alpha rays
4. Beta rays

Correct answer: 3. Alpha rays

Explanation: Alpha rays have the highest ionization power, whereas gamma rays have the highest penetration power.